The erectile disorder in males is more specifically treated with which of the following agent ?
1. Sildenafil
2. Diazepam
3. Fluxetine
4. Zolpidem

Correct answer: 1. Sildenafil